Terbinafine hydrochloride is:
1. Antibacterial
2. Antifungal
3. Antiviral
4. None

Correct answer: 2. Antifungal

Explanation: Ans. B. Antifungal. (Ref Goodman Gillman 11th edition CHAPTER 48).The treatment of superficial fungal infections caused by dermatophvtic fungi may be accomplished:(1) with topical antifungal agents, eg, clotrimazole, miconazole, econazole, ketoconazole, oxiconazole, sulconazole, ciclopirox olamine, naftifine, terbinafine, butenafine, and tolnaftate; or(2) with orally administered agents, ie, griseofulvin, terbinafine, ketoconazole, fluconazole, and itraconazole. Superficial infections caused by Candida species may be treated with topical applications of clotrimazole, miconazole, econazole, ketoconazole, oxiconazole, ciclopirox olamine, nystatin, or amphotericin B. Chronic generalized mucocutaneous candidiasis is responsive to long-term therapy with oral ketoconazole.Terbinafine# Its mechanism of action: inhibition of fungal squalene epoxidase, blocking ergosterol biosynthesis.# Terbinafine 1% cream or spray is applied twice daily and is effective in tinea corporis, tinea cruris, and tinea pedis. Terbinafine is less active against Candida species and Malassezia furfur, but the cream also can be used in cutaneous candidiasis and tinea versicolor.# Terbinafine, given as one 250-mg tablet daily, is at least as effective for nail onychomycosis as 200 mg daily of itraconazole, and slightly more effective than pulse itraconazole therapy. Duration of treatment varies with the site being treated but typically is 3 months. Although not approved for this use, terbinafine (250 mg daily) also is effective in ringworm elsewhere on the body.# Terbinafine is not recommended in patients with marked azotemia or hepatic failure, because in the latter condition, terbinafine plasma levels are increased by unpredictable amounts. Rifampin decreases and cimetidine increases plasma terbinafine concentrations.# The drug is well tolerated, with a low incidence of gastrointestinal distress, headache, or rash. Rarely, hepatotoxicity, severe neutropenia, Stevens-Johnson syndrome, or toxic epidermal necrolysis may occur. The drug is contraindicated in pregnancy (category B). I